Most common metal causing contact dermatitis
1. Zinc
2. Gold
3. Cobalt
4. Nickel

Correct answer: 4. Nickel

Explanation: Nickel allergy is one of the most common causes of contact allergic dermatitis. The most common sites for nickel dermatitis are the earlobes (from earrings), the wrists (from a watch strap) and the lower abdomen (from a jeans stud); the affected areas become intensely itchy and may become red and blistered (acute dermatitis) or dry, thickened and pigmented (chronic dermatitis). Ref Harrison 20th edition pg 1234